Concomitant chemoradiotherapy is indicated in all of the following malignancies except:
1. Stage III B Ca Cervix
2. T2 N0 M0 Anal Cancer
3. T2 N0 M0 Glottic Cancer
4. T1 N2 M0 Nasopharyngeal Cancer

Correct answer: 3. T2 N0 M0 Glottic Cancer

Explanation: T2 N0 M0 Glottic Cancer is an early stage glottis tumor extending to supraglottis and /or subglottis and /or with impaired vocal cord mobility, with no lymph node involvement or distant metastasis. Radiotherapy alone is the standard treatment for early glottis cancer. Concurrent chemoradiotherapy is indicated in locally advanced disease. Ref: Cervical Cancer: Current and Emerging Trends in Detection and Treatment By Heather Hasan, Page 39; Oxford Desk Reference Oncology By Thankamma, Page321; Gastrointestinal and Liver Tumors By Wolfgang Scheppach, Page 173